The blood protein involved in the free fatty acid transported in blood is which of the following?
1. Albumin
2. Globulin
3. Fibrinogen
4. Carnitine

Correct answer: 1. Albumin

Explanation: Free fatty acids are transported in the blood bound to albumin, a serum protein secreted by the liver. Most other lipids are transported in the blood as part of complex particles called lipoproteins.They are transported across mitochondrial membrane by carnitine system.